Value of Serum FSH in a normal adult female is
1. 1-5 IU/L
2. 5-20 IU/L
3. 20-40 IU/L
4. > 40 IU/L

Correct answer: 2. 5-20 IU/L

Explanation: Clinical StateSerum FSHSerum LHNormal adult female5-20 IU/L (midcycle peak 2 timesthe basal level in ovulatory women5-20 IU/L (midcycle peak 3 timesthe basal level in ovulatory womenHypogonadotropic state: Prepubertal,Hypothalamic or pituitary dysfunction<5 IU/L<5 IU/LHypergonadotropic state: Postmenopausal,Castrate, or Ovarian failure>20 IU/L>40 IU/LReference: Clinical gynecologic endocrinology; 10th edition; Chapter 9; Normal and Abnormal Sexual Development; Page no: 443